Which of the following is the best choice to evaluate radiologically a posterior fossa tumor?
1. CT scan
2. MRI
3. Angiography
4. Myelography

Correct answer: 2. MRI

Explanation: MRI is the investigation of choice for all brain tumors.